Neurotrophic keratopathy is caused by –
1. Bell's palsy
2. Facial and trigeminal nerve palsy both
3. Trigeminal nerve palsy
4. All of the above

Correct answer: 3. Trigeminal nerve palsy

Explanation: Neuroparalytic keratitis occurs due to interruption of sensory impulses over trigeminal nerve.